Stabilisation of avulsed tooth requires
1. 1-2 Weeks
2. 2-3 Weeks
3. 4-6 Weeks
4. More than 6 Weeks

Correct answer: 1. 1-2 Weeks